True about left renal vein
1. Posterior and inferior to superior mesenteric artery
2. Posterior and superior to superior mesentric artery
3. Anterior and inferior to superior mesenteric artery
4. Anterior and superior to superior mesentric artery

Correct answer: 1. Posterior and inferior to superior mesenteric artery

Explanation: Left Renal vein The left renal vein courses between the aorta and superior mesenteric artery to join the inferior vena cava. The left renal vein passes in front of Aorta The left gonadal vein will drain into to left renal vein. The right gonadal vein drains directly into the inferior vena cava. Ref - BDC 6e vol2 pg316